Rigor mortis in fetus at birth can be seen in ?
1. Dead born
2. Still born
3. Superfoetation
4. Superfecundation

Correct answer: 1. Dead born

Explanation: Ans. is 'a' i.e., Dead born Signs of dead born (intrauterine death : IUD) are (i) Rigor mortis at birth, (ii) Maceration, (iii)Putrefaction, and (iv) Mummification.